About skull of newborn, all of the following statements are TRUE, EXCEPT:
1. Paranasal sinuses are absent
2. Absent diploic spaces
3. Middle ear ossicles are of same size as in adults
4. Mastoid process is not completely formed

Correct answer: 1. Paranasal sinuses are absent

Explanation: All paranasal sinuses are present to varying degrees in newborn. Ethmoid sinuses are first to fully develop followed in order by maxillary, sphenoid and frontal sinuses. The auditory ossicles malleus, incus and stapes reach the adult size as early as sixth month of fetal life. The oval window and round window are the same size in the newborn infant as in the adult. The tympanic membrane completes its full growth by birth. Mastoid process is not completely formed by birth, so the facial nerve coming out of the stylomastoid foramen is not protected by the mastoid process. Hence it can be pressed by forceps in case of forceps delivery leading to temporary facial paralysis.